Facial Colliculus is seen in ?
1. Midbrain
2. Pons
3. Medulla
4. Interpeduncular foosa

Correct answer: 2. Pons

Explanation: Facial Colliculus is an elevation in the floor of fourth ventricle produced by the abducent nucleus. It lies at the level of pons.